In a study done to establish smoking as a risk factor for a disease, 30 out of 50 smokers developed the disease while 10 out of 50 non-smokers developed the disease. Odds ratio is?
1. 6
2. 3
3. 5
4. 10

Correct answer: 1. 6